Founder members of vision 2020 are A/E
1. WHO
2. UNICEF
3. ORBIS
4. International Agency for prevention of blindness

Correct answer: 2. UNICEF

Explanation: B i.e. UNICEF